All are functions of glycosaminglycans except -
1. Lubrication
2. Wound healing
3. Anticoagulant
4. Transport of lipids

Correct answer: 4. Transport of lipids

Explanation: Ans. is 'd' i.e., Transport of lipids Structure distribution and functions of glycosaminoglycans (GAGs)GAGDisachoride unitAttachment of sulfate to surarLocationFunctionHyaluronic acidN-acetyl glucosamine -glucuronic acidUnsulfatedSynovial fluid of joints Vitreous humor of the eye, loose connective tissue and umbilical cordServe as lubricant and shock absorber, facilitate cell migration in embryo- genesis, morphogenesis, wound healingCondroitin sulfateN-acetyl-glactosamine glucuronic acidN-acetylgalactosamineAt sites of calcification in bone and cartilage, certain neuronsProvide an endoskeletal structure helping to maintain their shape. Have role in compressibility of cartilage in weight bearingKeratan sulfateN-acetyl- glucosamine galactose (no uronic acid)N-acetylglucosamineCornea, loose connective tissue cartilageTransparancy of cornea and maintain the overall shape of the eyeHeparinGlucosamine glucuronic acid or iduronic acidGlucos amine and iduronic acidUnlike other GAGs that are extracellular compounds heparin is an intracellar component of mass cells, that line arteries especially is liver, lung and skinServes as an anticoagulant (binds antithrombin III) causes release of lipoprotein lapase from capiliary wallsHeprin sulfateSame as heparin except that some glucosamin are acetylatedGlucosamineSkin, fibroblast and aortic wallAre component of plasma membrane where they may act also participate in the mediation of cells growth, cell cell communication